A 7 years old child from Bihar is having hypo pigmented anaesthetic patch on his face. What is the most probable diagnosis?
1. Intermediate leprosy
2. Pityriasis alba
3. Nevus anemicus
4. Nevus achromicus

Correct answer: 1. Intermediate leprosy

Explanation: Recurrent scaly hypopigmented macule on the face of a child - P. alba Recurrent scaly hypopigmented macule on the face of an adult - P. versicolor Resident of the endemic zone with an anaesthetic patch over face - Indeterminate leprosy